The most commonest site of bleeding in haemoptysis is
1. Tracheobronchial tree
2. Pulmonary parenchyma
3. Pleural disease
4. All the above

Correct answer: 1. Tracheobronchial tree

Explanation: Ref Harrison 19 th ed/pg 1793 The most common source of bleeding in massive hemopthaemo are the bronchial arteries which are part of the high pressure systemic circulation . In bronchitis, bronchiectasis or with endobronchial tumors. Ref Harrison 19th edition pg 1793